Drug not having any role in Acute Asthma is:
1. Ipratropium
2. Steroid
3. Salbutamol
4. Sodium Chromoglycate

Correct answer: 4. Sodium Chromoglycate

Explanation: Sodium Chromoglycate Sodium Chromoglycate